A child with alopecia, hyperpigmentation psoriatic dermatitis in genitals & mouth and hypogonadism is likely to be suffering from -
1. Cu defeciency
2. Iron deficiency
3. Zn deficiency
4. Mg deficiency

Correct answer: 3. Zn deficiency

Explanation: Ans. is 'c' i.e., Zinc deficiency Features of Zinc deficiency include : 1. Dwarfism (growth retardation) 5. Iron deficiency anemia 9. Hyperpigmentation 2. Diarrhea 6. Acrodermatitis enteropathica 10. Hypogonadism 3. Dermatitis 7. Decreased immunocompetance 11. Perioral rash 4. Hepatosplenomegaly 8. Poor wound healing o Loss of hair and taste alterations may also be seen. The patient in question presents with hyperpigmentation, hypogonadism, dermatitis and alopecia, all of which may be seen with Zinc deficiency.